Papilledema - 1st clinical sign is -
1. Bulging of disc
2. Hyperemia of disc
3. Myopia
4. Obscuration of disc margins

Correct answer: 4. Obscuration of disc margins

Explanation: Ans. is 'd' i.e., Obscuration of disc margins Ophthalmoscopic signs of papilloedemao The blurring of disc margin (first sign)o Venous Engorgement, congestion, loss of pulsationo Hyperemia of the disc with capillary dilatation.o Filling of the physiological cup with gradual obliteration of physiological cup.o Gradual elevation of the disc (mushroom or dome-shaped) with sharp bending of vessels over its margins.o Cotton- wool spots (soft exudates) and both flame shaped (superficial) and punctate (deep) hemorrhageso Macular fan or macular star due to hard exudates.o Late findings in long-standing ( vintage) papilloedemaMarkedly elevated disc with champagne cork appearance, post neuritic optic atrophy.corpora amylacea deposits on disc margin, generalized retinal pigmentation.